The following is not an atypical antipsychotic
1. Thioridazine
2. Clozapine
3. Olanzapine
4. Resperidone

Correct answer: 1. Thioridazine

Explanation: Ans. is 'a' i.e. Thioridazine The most important distinction in modem day classification of antipsychotic drug is between the classical agents (typical) agents such as chlorpromazine, haloperidol and Zuclopenthixol and the atypical antipsychotics which include clozapine, risperidone, olanzapine and quetiapine.The atypical antipsychotics are "atypical" in their mode of action and adverse effect profile.Classical antipsychoticsAtypical antipsychotics* Acts by blocking D2 receptors* Usually do not act on D2 receptors* Highly likely to cause extra-pyramidal* Acts on 5HT2, muscarinic acetylcholinesymptomreceptors and 0 3/4 adrenoceptors * Extrapyramidal symptoms less commonExamples PhenothiazinesExamples- Chlorpromazine- Clozapine- Thioridazine- Sulpiride- Trifluoperazine- Olanzapine- Fluphenazine- RisperidoneButyrophenones- Ziprasidone- Trifluperidol- Sertindole- Droperidol- Ami sulpiride- Penfluridol Thioxanthene - Thiothixene - Flupenthixol Others - Pimozide - Reserpine